The number of degree of freedom in a table of ( 4 x 4 ) is :
1. 4
2. 8
3. 9
4. 16

Correct answer: 3. 9

Explanation: Degree of freedom = (c-1) x (r-1) Where c = no. of columns r = no. of rows In question: Number of rows = 4 Number of columns = 4 So degree of freedom = (4-1) (4-1) = 3 x 3 = 9